Which of the following is not used in preeclampsia?
1. Methyldopa
2. Atenolol
3. Labetalol
4. Hydralazine

Correct answer: 2. Atenolol